Which of the following is a 5HT3 antagonist
1. Cisapride
2. Ondonsetron
3. Clozapine
4. Buspirone

Correct answer: 2. Ondonsetron

Explanation: The 5-HT3 antagonists, informally known as "setrons", are a class of drugs that act as receptor antagonists at the 5-HT3 receptor, a subtype of serotonin receptor found in terminals of the vagus nerve and in certain areas of the brain. With the notable exceptions of alosetron and cilansetron, which are used in the treatment of irritable bowel syndrome, all 5-HT3 antagonists are antiemetics, used in the prevention and treatment of nausea and vomiting. Refer kDT 7/175